Hormone replacement therapy is benefial for all the following conditions except?
1. Vaginal atrophy
2. Flushing
3. Osteoporosis
4. Coronary heart disease

Correct answer: 4. Coronary heart disease

Explanation: HRT helps in vasomotor disturbances like hot flushes,urogenital atrophy like vaginal atrophy,osteoporosis. It cause increased risk of cardiovascular diseases like coronary artery disease. (Ref.Essentials of medical pharmacology TD Tripathi 7th edition page no.309)